A 28-year-old male patient is rushed to the emergency department with chief complaints of fever, acute abdominal pain and leukocytosis suggestive of acute appendicitis. Emergency laparotomy is planned. However, during surgery following finding is noted. There are numerous enlarged mesenteric lymph nodes present. The likely diagnosis if infective could be
1. Atypical shigellosis
2. Yersinia pseudotuberculosis
3. Enteric fever
4. Gastrointestinal tuberculosis

Correct answer: 2. Yersinia pseudotuberculosis

Explanation: The provisional diagnosis is acute appendicitis for which laparotomy is planned but laparotomy shows normal appendix with mesenteric lymphadenopathy, ruling out the provisional diagnosis. Yersinia Pseudotuberculosis infection causes fever, acute gastroenteritis with mesenteric lymphadenitis which mimics acute appendicitis.